Antiperistalsis is naturally seen in which part of the digestive tract?
1. Stomach
2. Duodenum
3. Colon
4. Antiperistalsis does not occur normally

Correct answer: 3. Colon

Explanation: - Antiperistalsis occurs as a normal phenomenon from hepatic flexure of colon to the cecum. - Peristalsis followed by antiperistalsis, in this segment, allows complete absorption of water and electrolytes.